Diameter of fovea centralis is:
1. 0.5 mm
2. 1.0 mm
3. 1.5 mm
4. 2.5 mm

Correct answer: 3. 1.5 mm

Explanation: Ans. 1.5 mm